Troponin - T is a marker of :
1. Renal disease
2. Muscular disease
3. Cirrhosis of liver
4. Myocardial infarction

Correct answer: 4. Myocardial infarction

Explanation: Answer is D (Myocardial infarction) Troponin T is a marker of Myocardial infarction.